Parasympathetic fibres arise from the following
1. Cervical
2. Lumbar
3. Coccyx
4. Sacral

Correct answer: 4. Sacral

Explanation: (D) Sacral# PREGANGLIONIC NEURONS (Craniosacral division) come from the brain or sacral region of the spinal cord. Also called the> They synapse on ganglia located near or in effector organs called terminal ganglia.> Autonomic nervous system represents the visceral component of the nervous system.> Autonomic nervous system is divided into three major parts: sympathetic, parasympathetic and enteric> Parasympathetic system is commonly referred to as having craniosacral outflow, which stands in contrast to the sympathetic nervous system, which is said to have thoracolumbar outflow.> Sympathetic trunks are two ganglionated nerve cords that extend on either side of the vertebral column from the cranial base to the coccyx.> Parasympathetic trunk emerge from the CNS only in cranial nerves III, VII, IX and X and in the second to fourth sacral spinal nerves.